Main blood supply of neck of femur?
1. Lateral circumflex femoral
2. Medial circulflex femoral
3. Profunda femoris
4. Popliteal artery

Correct answer: 2. Medial circulflex femoral

Explanation: B i.e. Medial circulflex femoral proximal femur (head & neck) Mn "M is Main = M2" Femoral head & neckSupplied by Large, lateral paLateral epiphyseal arteries derived from retinacular branches ofmedial circumflex femoral arteryQ (Main blood supply)Smaller medial part nearMedial epiphyseal arteries derived from posterior division offoveaobturator artery & from ascending branch of medial circumflexfemoral artery